In anterior maxillary occlusal projection, the central ray of the X-ray beam enters the patient's face through the:
1. Tip of the chin
2. Tip of the nose
3. Bridge of the nose
4. Glabella

Correct answer: 2. Tip of the nose